Common features of acquired Hypothyroidism include all EXCEPT:
1. Growth retardation
2. Intellectual disability
3. Delayed puberty
4. Pseudohypertrophy of muscles

Correct answer: 2. Intellectual disability

Explanation: - Intellectual disability is not a feature of Acquired hypothyroidism - It is seen in child with untreated congenital hypothyroidism Clinical features of acquired hypothyroidism: Firm & nodular goiter Deceleration of growth is usually the first clinical manifestation Cold intolerance Lethargy Constipation Delayed dentition Delayed puberty (some may have pseudo precocious puberty) Bradycardia Myopathy/ pseudohypertrophy of muscles Heart failure (in severe cases) Weight gain - mostly due to fluid retention Associated with Down's syndrome ; Turner's syndrome ; Celiac disease